Left atrial filling pressure closely approximates with ?
1. Pulmonary capillary wedge pressure
2. Central venous pressure
3. Intrapleural pressure
4. Intracranial pressure

Correct answer: 1. Pulmonary capillary wedge pressure

Explanation: The pulmonary wedge pressure or PWP, or cross-sectional pressure (also called the pulmonary arterial wedge pressure or PAWP, pulmonary capillary wedge pressure or PCWP, pulmonary venous wedge pressure or PVWP, or pulmonary artery occlusion pressure or PAOP), is the pressure measured by wedging a pulmonary catheter with an inflated balloon into a small pulmonary arterial branch Because of the large compliance of the pulmonary circulation, it provides an indirect measure of the left atrial pressure Ref Harrison 20th edition pg 1456